Nerve supply of Pinna is A/E
1. Great auricular nerve
2. Auriculotemporal nerve
3. Lesser occipital nerver
4. Greater superficial petrosal nerve

Correct answer: 4. Greater superficial petrosal nerve

Explanation: The upper two-thirds of lateral surface is supplied by the auriculotemporal nerve and the lower one-third by the great auricular nerve . The upper two-thirds of medial surface is supplied by the lesser occipital nerve Notes: The auricular muscles are supplied through branches of facial nerve The root is supplied by auricular branch of vagus nerve Ref.BDC volume 3,sixth edition pg 273